LDH isoenzyme specific for heart is -
1. LDH1
2. LDH2
3. LDH3
4. LDH4

Correct answer: 1. LDH1

Explanation: Ans. is 'a' i.e., LDH1* Lactate Dehydrogenase converts pyruvate to lactate.* It is present in cytoplasm of cells* It is a tetramer. Two subunits H and M in various combinations make up the various isoenzymes of LDHLDH ISOENZYMESUBUNITSLOCATIONLDH 1H4Heart, RBC, BrainLDH 2H3M1Reticuloendothelial cellsLDH3H2M2LungsLDH4H1M3Kidneys, placenta, PancreasLDH 5M4Liver and skeletal muscle* In blood generally LDH 2 isoenzyme concentration is higher. In myocardial infarction, LDH1 concentration is increased. This LDH 1 being more than LDH2 is called as flipped pattern of LDH which is suggestive of myocardial infarction.